Pawn ball megakaryocytes are characteristic of -
1. Myelodysplastic syndrome
2. idiopathic thrombocytopenic purpura
3. Thrombotic thrombocytopenic purpura
4. Chloramphenicol toxicity

Correct answer: 1. Myelodysplastic syndrome